On tenth day of a tooth being knocked out, the local clinical finding will be :
1. Tooth socket being filled up by tissue
2. Blood clots in the socket
3. Alveolar process smooth
4. Fluid blood in the socket

Correct answer: 1. Tooth socket being filled up by tissue

Explanation: A i.e. Tooth socket is filled by tissue - Scab or crust of abrasion is bright red at 12-24 hrs, turns reddish (dark) brown at 2-3 days, becomes brownish black & falls of at 4-7 daysQ. - Bruise or contusion is blue d/t deoxy hemoglobin (at dayl)Q and green d/t haematodin (at 7-10 days)Q. - Provisonal callus is formed at 7 days and callusis is transformed into bone (hard callus) at 6-8 weeksQ. - In tooth socket, clot is formed at 1-2 days and clot is obliterated by fibrous tissue in 14 daysQ.